Which of the following materials can be absorbed directly by the surface lining cells of the stomach?
1. Vitamin B12
2. Polysaccharides
3. Triglycerides
4. Alcohol

Correct answer: 4. Alcohol

Explanation: Only a few Simple Substances, such as Alcohol, can be absorbed by the Epithelial Lining of the Stomach